Which of the following is beneficial in NSAID induced gastric ulcer -
1. PGE1 agonist
2. PGE2 agonist
3. PGD agonist
4. PGF2 agonist

Correct answer: 1. PGE1 agonist

Explanation: Ans. is 'a' i.e., PGE1 agonist o The primary use of PGE I analogue (Misoprostol) is prevention and treatment of NSAIDs induced peptic ulcer.